Reflex absent in decorticate animal -
1. Righting reflex
2. Long loop stretch reflex
3. Tonic neck reflex
4. Crossed extensor reflex

Correct answer: 2. Long loop stretch reflex

Explanation: Ans. is 'b' i.e., Long loop stretch reflex o Removal of cerebral cortex (decortication) affects long loop strech reflex and hopping & placing reactions.